Which is the nerve involved in case of ape thumb deformity ?
1. Median
2. Radial
3. Ulnar
4. Axillary

Correct answer: 1. Median

Explanation: Ans. is 'a' i.e., Median